All of the following are features of secretory diarrhea, except:
1. It is painless
2. Reduces with fasting
3. Stool volume is > 1L /day
4. Stool osmotic gap is normal

Correct answer: 2. Reduces with fasting

Explanation: Secretory diarrhea occur due to derangement's in fluid and electrolyte transport across the enterocolonic mucosa. Features of secretory diarrhea includes: ? Painless ? Persist with fasting ? Watery and large volume ? Normal fecal osmotic gap Ref: Gastrointestinal Physiology Kim E. Barrett, Chapter 5; Harrison's Internal Medicine, 18th Edition, Chapter 40